All of the following are methods of reduction of a posterior dislocation of hip except:
1. Kocher's maneuver
2. Bigelow's method
3. Stimson's gravity method
4. Allis method

Correct answer: 1. Kocher's maneuver

Explanation: Ans. A. Kocher's maneuverKocher's method is used for shoulder dislocation. Simple dislocations are mostly managed by close reductions under anesthesia.Few methods of reduction of posterior dislocation of hip are:* Stimson's gravity method* Allis maneuver* Bigelow's maneuver* East Baltimore lift